Short stature, secondary to growth hormone deficeincy is associated with -
1. Normal body proportion
2. Low birth weight
3. Normal epiphyseal development
4. Height age equal to skeletal age

Correct answer: 1. Normal body proportion

Explanation: Ans. is 'a' i.e., Normal body proportion